CD-95 in apoptosis; the death receptors initiated through
1. Induces apoptosis when it engaged by fas ligand system
2. Cytochrom C binds to a protein Apoptosis activating (Apaf-1) factor - 1
3. Apoptosis may be initiated by caspase activation
4. Apoptosis mediated through DNA damage

Correct answer: 1. Induces apoptosis when it engaged by fas ligand system

Explanation: * The mechanism of apoptosis induced by FAS death receptor is well illustrated by FAS, a death receptor expressed on many cell types.the ligand for FAS is called FAS ligand.Robbins and Cotran pathologic basis of disease South Asia edition